Not true about Rhinocerebral phacomycoosis
1. Also known as mucormycosis
2. Treatment with voriconazole
3. Angio Invasive
4. Black necrotic Turbinates

Correct answer: 2. Treatment with voriconazole